Which of the following diuretic causes impaired glucose tolerance?
1. Spironolactone
2. Thiazides
3. Amiloride
4. Canrenone

Correct answer: 2. Thiazides

Explanation: Ans. is 'b' i.e., Thiazides Drugs causing hyperglycemia* Asparaginase* Ethacrinic acid* HIV protease inhibitors* Pentamidine* Chlorthalidone* Frusemide* Niacin* Thiazides* Diazoxide* Glucocorticoids* OCP* b-adrenergic agonists* Encainide* Growth-hormone* Phenytoin* b-blockers (propranolol)* Thyroid hormones* Vacor* Clozapine* a-IFN* Glucagon* Cyclosporine* Tacrolimus* Protease inhibitors* L-Asparaginase